Which antiglaucoma drug decreases aqueous formation -
1. Prostaglandins
2. Beta - blockers
3. Mannitol
4. Pilocarpine

Correct answer: 2. Beta - blockers

Explanation: Ans. is 'b' i.e.. Beta - blockers Mechanism of action of pharmacological agents in POAGAgentMechanism of Actionb- blocker (Timolol, Betaxolol. Levobunolol, Carteolol)Decreased aqueous secretion from ciliary epitheliumPrastaglandins (Latanoprost, bimatoprost, travopnost)Increased uveoscleral aqueous outflowAlpha agonistsy Non- selective (Epinephrine, Dipivefrine)y Selective a - 2 (Aproclonidine, Brimonidine)Increased uveoscleral aqueous outflow Decreased aqueous secretionCarbonic anhydrase inhibitors (Dorzolamide Brinzolamide, Acetazolamide)Decreased aqueous secretion due to lack of HCO3Cholinomimetics (Pilocarpine, Phvsostigmine Carbachol, echothiophate)Increased aqueous outflow due to opening of trabecular meshwork due to ciliary- muscle contractionHyperosmotic agents (mannitol, glycerol)Reduced vitreous volume and deepen anterior chamber